All are features of Cushing's syndrome except
1. Central obesity
2. Diabetes
3. Hypotension
4. Hypokalaemia

Correct answer: 3. Hypotension

Explanation: Clinical features of Cushing's syndromeWeight gain/central obesityDiabetesHirsutismHypeensionSkin changes (abdominal striae, facial plethora, ecchymosis, acne)Muscle weaknessMenstrual irregularity/impotenceDepression/maniaOsteoporosisHypokalaemiaRef: Bailey and Love 27e pg: 842